Gutter fracture is due to
1. Sharp edged weapon
2. Fire arm injury
3. Blunt weapon
4. Serrated edge

Correct answer: 2. Fire arm injury

Explanation: Bullet striking on the skull but not entering it: Bullet may tangentially touch the skull and doesn't enter the skull cavity . In such a case , there may be a gutter that is produced on the skull- Gutter fracture ref: FORENSIC MEDICINE AND TOXICOLOGY DR PC IGNATIUS THIRD EDITION PAGE 154